Treatment for Gardnerella -
1. Metronidazole
2. Doxycycline
3. Azithromycin
4. Erythromycin

Correct answer: 1. Metronidazole

Explanation: Ans. is 'a' i.e., MetronidazoleTreatment for Bacterial vaginosis/ Gardnerella vaginosis is:Metronidazole 500 mg orally twice a day for 7 daysMetronidazole gel, 0.75%, one full applicator (5g) intravaginally, once a day for 5 days.Clindamycin cream, 2%, one full applicator (5g) intravaginally at bedtime for 7 days.